Hyoid lies at the level of
1. C3
2. C5
3. C7
4. T2

Correct answer: 1. C3

Explanation: Hyoid is a U-shaped bone situated in the anterior midline of the neck between the chin and the thyroid cartilage.At rest,it lies at the level of the third cervical vertebra behind and the base of the mandible in front. REF,BDC VOL.3,FIFTH EDITION